The following are indications for performing thoracotomy after blunt injury of the chest, except -
1. 1000 ml drainage after placing intercostal tube
2. Continuous bleeding through intercostal tube of more than 200 ml/hour for three or more hours
3. Cardiac tamponade
4. Rib fracture

Correct answer: 4. Rib fracture